Which one of the following bacteria contains mycolic acid in the cell wall?
1. Escherichia
2. Mycoplasma
3. Mycobacteria
4. Staphylococcus

Correct answer: 3. Mycobacteria

Explanation: Ans. is 'c' i.e., Mycobacteria